A newborn baby presented with profuse bleeding from umbilical stump after birth. Probable diagnosis is _______
1. Factor XIII deficiency
2. VWF deficiency
3. Factor XII deficiency
4. Glanzmann thrombosthenia

Correct answer: 1. Factor XIII deficiency

Explanation: major cause of profuse umbilical stump bleeding in newborn is factor Xlll deficiency. The bleeding diathesis in inherited factor XIII (FXIII) deficiency is severe in most patients. Bleeding from the stump of the umbilical cord within the first days to weeks of life is a characteristic sign that occurs in 80% of affected individuals; bleeding from this specific site is uncommon in other inherited hemostatic diseases except afibrinogenemia Reference : Ghai essential of pediatrics, eighth edition, p.no: 349